Which of following anti-gout drugs act by inhibiting the enzyme xanthine oxidase?
1. Probenecid
2. Rasburicase
3. Allopurinol
4. Sulfinpyrazone

Correct answer: 3. Allopurinol

Explanation: DRUGS USED IN CHRONIC GOUT Group Mechanism Drugs Uric acid synthesis inhibitors Xanthine oxidase inhibitors Allopurinol, Febuxostat Uricosuric agents URAT-1 transporter inhibitors Probenecid, Sulfinpyrazone, Benzbromarone, Lesinurad Recombinant uricase Cause oxidation of urate to allantoin Rasburicase, Pegloticase